All of the following are favourable prognostic indicators in Acute Myeloid Leukemia EXCEPT
1. MiR aEUR" 181a over expression
2. NPM1 mutations
3. MiR aEUR" 3151 over expression
4. CEBPA mutations

Correct answer: 3. MiR aEUR" 3151 over expression

Explanation: . MiR aEUR" 3151 over expression